Physical withdrawal symptoms are not marked in patients abusing:
1. Pethidine
2. Cannabis
3. Opium
4. Alcohol

Correct answer: 2. Cannabis

Explanation: Cannabis